In the management of pulmonary emboli, alteplase (rt-PA) is infused for:-
1. 1-3 hours
2. 4-6 hours
3. 7-9 hours
4. 10-12 hours

Correct answer: 1. 1-3 hours

Explanation: Alteplase : Also known as rt-PA(Recombinant tissue plasminogen activator) Has more affinity towards plasminogen bound to fibrin Due to short duration of action, it is given by continuous iv infusion. The doses are: For MI: 15 mg iv bolus followed by 50 mg over 30 min and then 35 mg over next 60 min. For Pulmonary embolism: 100 mg iv over 2 hours For Ischemic stroke: 0.9 mg/kg iv over 60 min Note : Tenecteplase can be given as a single bolus dose for coronary thrombolysis.